Card test is done for -
1. Lumbricals
2. Palmar interossei
3. Dorsal interossei
4. Adductor pollicis

Correct answer: 2. Palmar interossei